Constrictions in Esophagus by aorta is present at distance of from incisor
1. 15 cm
2. 25cm
3. 30 cm
4. 40 cm

Correct answer: 2. 25cm

Explanation: Construction of oesophagus at the following levels 15 cm-crossed by cricopharyngeus 22.5 cm-crossed by aorta 27.5 cm-crossed by left bronchus 37.5 cm-pierces the diaphragm All from incisor teeth BD CHAURASIA'S HUMAN ANATOMY VOL.1,PAGE NO 282